Cycle that is seen in RBCs in malaria
1. Sexual
2. Sporogony
3. Exogenous
4. Endogenous

Correct answer: 4. Endogenous